Which of the following are characteristic features of Meniere's disease?
1. Vertigo, ear discharge, tinnitus and headache
2. Vertigo, tinnitus, hearing loss and headache
3. Conductive hearing loss and tinnitus
4. Vertigo, tinnitus and hearing loss

Correct answer: 4. Vertigo, tinnitus and hearing loss

Explanation: Signs and symptoms of Meniere's disease include: Recurring episodes of vertigo. You have a spinning sensation that starts and stops spontaneously. Episodes of vertigo occur without warning and usually last 20 minutes to several hours, but not more than 24 hours. Severe vertigo can cause nausea and vomiting. Hearing loss. Hearing loss in Meniere's disease may come and go, particularly early on. Eventually, most people have some permanent hearing loss. Ringing in the ear (tinnitus). Tinnitus is the perception of a ringing, buzzing, roaring, whistling or hissing sound in your ear. Feeling of fullness in the ear. People with Meniere's disease often feel pressure in the affected ears (aural fullness) or on the side of their heads.